Drug of choice for OCD is?
1. Clomipramine
2. Fluoxetine
3. Carbamezapine
4. Chlorpromazine

Correct answer: 2. Fluoxetine

Explanation: ANSWER: (B) FluoxetineREF: Kaplan 9th ed p - 622OCDTreatment of choice: behaviour therapyDrug of choice: SSRI2nd drug of choice: comipramine